Calculate the mean & mode of the given values: 2,2,3,4,4,4,4,5,5,7,8,8,9
1. 4 and 5
2. 5 and 4
3. 5 and 9\
4. 9 and 5

Correct answer: 2. 5 and 4

Explanation: Ans. (b) 5 and 4Ref: Park 22nd ed/789-90Therefore, mean =2+2+3+4+4+4+4+5+5+7+8+8+913= 65/13Mean = 5* Mode is most repeated/frequent value, which is 4, repeated 4 times.* Therefore the mean, mode will be 5 and 4 respectively.